Caisson's disease is due to:
1. Gas embolism
2. Fat embolism
3. Amniotic fluid
4. Tumor embolism

Correct answer: 1. Gas embolism

Explanation: Ans. A. Gas embolisma. Caisson's disease (synonyms- Decompression sickness, bends, Compressed air sickness, Diver's paralysis, Dysbarism)- symptoms of caisson's disease are caused by gas bubbles blocking many blood vessels in different tissues (gas embolism) seen during sudden decompression in divers.b. If a diver has been beneath the sea long enough that large amounts of nitrogen have dissolved in his or her body and the diver then suddenly comes back to the surface of the sea, significant quantities of nitrogen bubbles can develop in the body fluids either intracellularly or extracellularly and can cause minor or serious damage in almost any area of the body, depending on the number and sizes of bubbles formed; this is called decompression sicknessc. Most common symptom of decompression sickness, affecting 85 to 90% of patients is 'bends' or pain in the joints and muscles of legs and arms.d. In 5 to 10% of the patient nervous system symptoms occur ranging from dizziness to paralysis or collapse and unconsciousness. 2% of patients develop "the chokes" caused by gas embolism in the capillaries of the lungs; patient complains of dyspnoea followed by severe pulmonary edema and occasionally, death.